Which of the following is a mechanical method of cervical induction?
1. PGE1 Oral Induction
2. PGE1 Vaginal induction
3. PGE2 vaginal Induction
4. Transcervical Foleys catheter

Correct answer: 4. Transcervical Foleys catheter

Explanation: Techniques of labor inductionPharmacological PGE2 PGE1 or Oral MechanicalTranscervical 36F Foley catheter Hygroscopic dilators (Ref: William's Obstetrics; 25th edition)